A patient comes with all the lower premolars and first
molar removed, should the second molars be removed why?
1. Yes, it will help in taking support from the ridge
2. No, 2nd molars will help in determining the vertical dimension
3. No, because for designing RPD, sound posterior tooth with good bony support should not be extracted
4. Yes, it will help in extending the denture to retromolar pad to have good retention

Correct answer: 3. No, because for designing RPD, sound posterior tooth with good bony support should not be extracted